Midyear population is considered as that on
1. 1st June
2. 30th June
3. 1st July
4. 15th July

Correct answer: 3. 1st July

Explanation: The mid-year population is used to calculate birth and death rates. The mid-point refers to the population estimated as on first of July of a year.Park 23e pg: 55